A 7-year-old boy presents with, patchy hair loss, boggy scalp swelling and broken and fragmented hair follicles at the surface of the scalp resembling black dots. What is the next step in establishing a diagnosis:
1. Culture
2. KOH smear
3. Biopsy
4. Antibiotics

Correct answer: 2. KOH smear

Explanation: The clinical picture is suggestive of Tinea capitis. Although culture is the gold standard in its diagnosis, KOH examination of the hair is the quick method to demonstrate spored and hyphae within and around the hair. Ref: Clinical Pediatric Dermatology By Thappa, Page 57-59, Elsevier India 2009